N. gonorrhea causes -
1. Urethritis
2. Salpingitis
3. Conjunctivitis
4. All

Correct answer: 4. All

Explanation: Ans. is All-`a' i.e., Urethritis; 'b' i.e., Salpingitis; 'c' i.e., Cervicitis